Post operative abscess treatment of choice
1. Hydration
2. IV antibiotics
3. Image guided aspiration
4. Reexploration

Correct answer: 3. Image guided aspiration

Explanation: Localised infection An abscess may present with persistent abdominal pain, focal tenderness and a spiking fever. The patient may have a prolonged ileus. If the abscess is deep-seated these symptoms may be absent. The patient will have a neutrophilic leucocytosis and may have positive blood cultures. An ultrasound or CT scan of the abdomen should identify any suspicious collectionand will identify a subphrenic abscess, which can otherwise be difficult to find and aspiration is done under ultrasound Ref: Bailey and love 27th edition Pgno : 297